All are true about congenital diaphragmatic hernia except _____________
1. Usually associated with polyhydramnios
2. Most commonly seen on left side
3. Mortality associated with pulmonary hypoplasia
4. Pulmonary dilators markedly improve survival

Correct answer: 4. Pulmonary dilators markedly improve survival

Explanation: Congenital diaphragmatic hernia(CDH) occurs when the diaphragm muscle -- the muscle that separates the chest from the abdomen -- fails to close during prenatal development, and the contents from the abdomen (stomach, intestines and/or liver) migrate into the chest through this hole. Reference: GHAI Essential pediatrics, 8th edition